Drug of choice for syphilis during pregnancy is :
1. Ampicillin
2. Erythromycin
3. Benzathine penicillin
4. Tetracyclines

Correct answer: 3. Benzathine penicillin